True regarding retinoscopy are all of the following except:
1. Helps in estimating the condition of the refraction
2. Usually performed at 1 m distance
3. Consists of a plane and a concave mirror
4. Hyperopes display an "against" movement

Correct answer: 4. Hyperopes display an "against" movement

Explanation: Ans. D: Hyperopes display an "against" movement Retinoscopy is used in determining a patient's refractive error. It is usually performed at a distance of lm or at an arm's length (2/3rd of a metre). Mirror retinoscope (Priestley-Smith) has a plane mirror at one end and a concave mirror at other end. Power corresponding to the working distance is subtracted from the gross retinoscopy value to give the patient's refractive condition. Myopes display an "against" reflex, which means that the direction of movement of light observed from the retina is a different direction to that in which the light beam is swept. Hyperopes display a "with" movement, which means that the direction of movement of light observed from the retina is the same as that in which the light beam is swept